If a biochemical test gives the same reading for a sample on repeated testing, it is inferred that the measurement is -
1. Precise
2. Accurate
3. Specific
4. Sensitive

Correct answer: 1. Precise

Explanation: Let’s see each term one by one-
a) Precise (or Repeatable or Reliable or Reproducible)

A test is said to be Precise when it gives consistent results when repeated more than once on the same individual or material under the same condition.

b) Accurate (or Valid)

Accuracy or Validity of a test refers to what extent the test accurately mesures which it purports to measure.
In other words Validity expresses the ability of a test to separate or distinguish those who have the disease from those who do not.
Validity has two components - Sensitivity and Specificity.

c) Specific-


A test is said to be specific when it identifies correctly those who do not have the disease.

d) Sensitive-

A test is said to be sensitive when it identifies correctly all those who have the disease.